Which muscle originates from tendon of other muscle ?
1. Palmaris longus
2. FCR
3. Lumbricals
4. Adductor pollicis

Correct answer: 3. Lumbricals

Explanation: Ans. is 'c' i.e., LumbricalsLumbricals arise from 4 tendons of flexor digitorum profundus.FCR and palmaris longus arise from medial epicondyle of humerus.Adductor pollicis arises from capitate and 2nd & 3rd metacarpals.